Most common site of ulcerative colitis is ?
1. Rectum
2. Caecum
3. Small intestine
4. Appendix

Correct answer: 1. Rectum

Explanation: Davidson's principles and practice of medicine 22nd edition. *ulcerative colitis invariably involves the rectum and spread proximally in continues manner it involves the entire colon in some cases.